Which of the following is most prone to hypoxic injury
1. Thalamus
2. Hippocampus
3. Caudate nucleus
4. Cerebellum

Correct answer: 2. Hippocampus

Explanation: Hippocampus is most prone to hypoxic damage and it is the first and most common part of brain, involved in hypoxic ischemic encephalopathy.